The long winter elevators (Nos. 14R and 14L) were designed for the removal of
1. Mandibular molar roots
2. Mandibular incisor roots
3. Mandibular canine roots
4. None of the above

Correct answer: 1. Mandibular molar roots